Drug induced myopathy can be caused by all of the following except -
1. Atrovastaine
2. d- penicillamine
3. Ciprofloxacin
4. Chloroquine

Correct answer: 3. Ciprofloxacin

Explanation: Ans. is `c' i.e., Ciprofloxacin Drugs causing myopathy o Clofibrate o Gemfibrozil o Cyclosporine o Danazol o Statin o Chloroquine o D penicillamine o Cimetidine